Precocious puberty in females is defined as
1. Occurrence of menarche before age of 8 years
2. Occurrence of menarche before age of 12 years
3. Appearance of secondary sexual characteristics before 8 years
4. Appearance of secondary sexual characteristics before 10 years

Correct answer: 3. Appearance of secondary sexual characteristics before 8 years

Explanation: Ans. C. Appearance of Secondary sexual characteristics before 8 years* Precocious puberty: This is defined as the appearance of any of the secondary sexual characteristics before the age of 8 years or the occurrence of menarche before the age of 10 years* Precocious puberty in females is pubertal changes before the age of 8 years.* In males it is onset of puberty before the age of 9 years